Oral evidence is more important than written testimony as-
1. Oral evidence cannot be cross examined
2. Oral evidence can be cross examined
3. Documentary evidence requires no proof
4. None

Correct answer: 2. Oral evidence can be cross examined

Explanation: Ans. is 'b' i.e., Oral evidence can be cross examined [Ref: Reddy 30th/e p. 9-10/}Oral evidenceo It includes all statements which the court permits, or which are required to be made before it by the witness, in relation to matters of fact under inquiry.o It is more important than documentary evidence, as it permits cross-examination.o Written evidence is accepted by the court only on oral testimony by the person concerned,o All facts, except the contents of documents, may be proved by it.o Exceptions to oral evidence:o Dying declaration; statements made by a person who is dead is admissibe as evidence.Expert opinion expressed in a treatise.Evidence of doctor recorded in a lower court is accepted in higher courtEvidence given by a witness in a previous judicial hearingEvidence of Mint officers or an officer of the India Security pressReports of certain Government scientific experts.Public records